Acute hemorrhagic conjunctivitis is caused by ?
1. Enterovirus 70
2. Adenovirus
3. Poliovirus
4. Hepadnavirus

Correct answer: 1. Enterovirus 70

Explanation: Ans. is 'a' i.e., Enterovirus 70 Acute hemorrhagic conjunctivitis (AHC) may be caused by adenoviruses, but two enteroviruses, enterovirus 70 and coxsackie A24 variant, are the major causes.